Root value of the Radial nerve is:
1. C5, C6
2. C5, C6, C7
3. C5, C6, C7, C8
4. C5, C6, C7, C8, T1

Correct answer: 4. C5, C6, C7, C8, T1

Explanation: BRANCHES OF THE BRACHIAL PLEXUS There are a total of 17 branches arising from the brachial plexus that are destined to supply the upper limb of the seventeen branches of the brachial plexus; three of the branches arise from the root, one from the trunk, three from the lateral cord, five from the medial cord and five from the posterior cord. Branches from the roots Long thoracic nerve of bell (C5, C6, C7). Dorsal scapular nerve (C5). Branches from the trunk Suprascapular Nerve (C5, C6) Nerve to subclavius (C5, C6) Branches from the lateral cord Lateral pectoral nerve. (C5, C6). Musculocutaneous - (C5, C6, C7) Lateral root of median nerve (C5, C6, C7). Branches from the medial cord Medial pectoral nerve (C8, T1) Medial cutaneous nerve of arm (C8,T1) Medial cutaneous nerve of forearm (C8,T1) Ulnar nerve(C7, C8, T1) Medial root of median nerve (C8,T1) Branches from the posterior cord Axillary nerve (C5, C6) Upper subscapular nerve (C5,C6) Thoracodorsal nerve (C6, C7, C8). Lower subscapular nerve (C5, C6) Radial nerve (C5-T1).